All are true about Erythema multiforme except
1. Target lesion
2. Does not involve mucosa
3. Associated with HSV
4. Extensor involvement

Correct answer: 2. Does not involve mucosa